In atrial septal defect the aorta is
1. Small
2. Normal
3. Enlarged
4. Aneurysmal

Correct answer: 1. Small

Explanation: In ASD chest xray shows small aortic shadow. Ref : Ghai essential of pediatrics,eighth edition, P.no: 413